Duration of action of flumazenil is
1. 5minute
2. 10minute
3. 20minute
4. 30minute

Correct answer: 4. 30minute

Explanation: Duration of action of flumazenil is 30-60min. So the best answer seems to be 30min The onset of action is about 1 to 2 minutes; 80% response is seen within the first 3 minutes. Peak effect is 6 to 10 minutes after administration.Duration range is from 19 minutes to 50 minutes as it depends on the dose was given and benzodiazepine plasma concentrations Ref: Goodman and Gilman 13th ed.